Which of the following hormones is mainly responsible for skeletal maturation:
1. Testosterone
2. Estrogen
3. Growth hormone
4. Testosterone/ estrogen ratio

Correct answer: 2. Estrogen

Explanation: B i.e. Estrogen Growth spurt at puberty occurs because of androgen & estrogens, but estrogen ultimately terminate growth by causing the epiphyses to fuse to the long bones (epiphysial closure). Once the epiphyses have closed, linear growth ceases. Patient with sexual precocity are apt to be dwarfed. On the other hand men who were castrated before puberty tend to be tall because their estrogen production is decreased & their epiphysis remain open. These observation suggest that estrogen, rather than androgen, are responsible for bone maturation that ultimately leads to epiphyseal fusion and cessation of growthQ.